Malignant pustulosis is observed in:
1. Anthrax
2. Actinomycotic mycetoma
3. Plague
4. Cutaneous mucormycosis

Correct answer: 1. Anthrax

Explanation: Ref: Ananthanarayan, Paniker CJ. Textbook of Microbiology. 6th Ed. London: John Wiley & Sons; 2000. & Gillespie SH. Hawkey PM. Principles and Practice of Clinical Bacteriology. 2nd Ed. London: John Wiley tfc Sons; 2006.Explanation:Cutaneous anthraxA small pimple or papule appears, and over the next 24 h. a ring of vesicles develops around it, and it ulcerates, dries and blackens into the characteristic necrotic black eschar (also known as malignant pustule).Differential diagnoses include other cutaneous and subcutaneous infections,The eschar enlarges, becoming thick and adherent to underlying tissues over the ensuing week, and it is surrounded by edema, which may be very extensive.Pus and pain are normally absent.MycetomaIt is a chronic granulomatous subcutaneous infection of the foot which occurs in tropical countries and is thought to be associated with walking barefoot.The infection can be caused by aerobic actinomycetes including N. brasiliensis, Actinomadura madurae, Streptomyces somaliensis or other nocardiae.Mycetoma is characterised by a triad of swelling, multiple discharging sinuses and granules.Yersinia pestisIt is considered as the cause of Black Death.Lymphadenitis in the regional lymph nodes serving the area of the fleabite produces a tense tender swelling or bubo after 2-6 days incubation in cases of bubonic plague.Fever and prostration is usual and progression to septicaemic plague with meningitis or secondary pneumonia can occur.Untreated bubonic plague has a mortality of 50- 909t and untreated meningitis or septicaemia is usually fatal.Cutaneous mucormycosisIt can follow minor trauma, insect bites, wounds, bums, and use of non-sterile dressings.Necrotic lesions occur on the epidermis that is painful and hardened, usually with a blackened central area (which may look like a black eschar).These lesions can progress into the dermis and even muscle.